Hung up ankle reflex seen in -
1. Hypothyroidism
2. Thyrotoxicosis
3. Sipple syndrome
4. Wermer syndrome

Correct answer: 1. Hypothyroidism

Explanation: Hung up reflex is a deep tendon reflex in which, after a stimulus is given and the reflex action takes place, the limb slowly returns to its neutral position. This prolonged relaxation phase is characteristic of reflexes in persons with hypothyroidism. It is also known as Woltman sign. In unaffected patients, the relaxation time for deep tendon reflexes is 240-320 ms. Delays in relaxation time in patients with hypothyroidism appears to be proportional to the level of thyroid-hormone deficiency.